Patterson- Brown-Kelly syndrome include
1. Dysphagia
2. Webs in post cricoid region
3. Iron deficiency anaemia
4. All of the above

Correct answer: 4. All of the above

Explanation: PLUMMER-VINSON (PATTERSON-BROWN- KELLY) SYNDROME Classical features of this syndrome include dysphagia, iron-deficiency anaemia, glossitis, angular stomatitis, koilonychia (spooning of nails) and achlorhydria. There is atrophy of the mucous membrane of the alimentary tract. Predominantly, it affects females past 40 years. Barium swallow shows a web in the postcricoid region and the same can be seen on oesophagoscopy. It is due to subepithelial fibrosis in this region. About 10% of the cases with this syndrome will develop postcricoid carcinoma. It also predisposes to the development of carcinoma in the tongue, buccal mucosa, pharynx, oesophagus and the stomach. TREATMENT :- 1. To correct anaemia by oral/parenteral iron. Serum levels of iron are more important than haemoglobin level. Associated B12 and B6 deficiency should also be corrected. 2. Dilatation of the webbed area by oesophageal bougies. Ref:- Dhingra; pg num:-343,344